Mechanism action of botu linum toxin -
1. Increased cAMP
2. Increased cGMP
3. Inhibition of acetylcholine release
4. inhibition of noradrenaline release

Correct answer: 3. Inhibition of acetylcholine release

Explanation: Ans. is 'c' i.e., Inhibition of acety lcholine release Botulinnm Toxino Cl. botulinum produces a powerful exotoxin that is responsible for its pathogenicity.o The toxin differs from other exotoxins in that it is not released during the life of organism. It is produced intracellularly and appears in the medium only on the death and auto lysis of the cell.o It is the most toxic substance known,o Toxin is heat labile, but spores are highly heat resistant.o It acts by blocking the release of acetylcholine at synapses and neuromuscular junction. It acts presynaptically.o Toxin of all types (A, B, C, D, E, F, G) are neurotoxin except C2 which is a cytotoxin (enter otoxin).